Which of the following drugs inhibit 5'– deiodinase?
1. Propylthiouracil
2. Methimazole
3. Lugol's iodine
4. Radioactive iodine

Correct answer: 1. Propylthiouracil

Explanation: For the peripheral conversion of T1 to T3, the enzyme needed is 5'-deiodinase. It is inhibited by

Propylthiouracil
Propanolol
Amiodarone.